Which of the following drugs are considered to have "dual reuptake inhibitors"?
1. Clomipramine
2. Amitriptyline
3. Venlafaxine
4. All of the above

Correct answer: 4. All of the above

Explanation: Ans. D. All of the aboveThe selective serotonin-norepinephrine reuptake inhibitors (SNRIs) are a group of medications that have therapeutic effects that are presumably mediated by concomitant blockade of neuronal serotonin (5-HT) and norepinephrine uptake transporters. Medications in this group include venlafaxine (Effexor) and duloxetine. The SNRIs are also sometimes referred to as dual reuptake inhibitors, a broader functional class of antidepressants medications that includes tricyclic antidepressants (TCAs) such as clomipramine and, arguably, imipramine and amitriptyline.